Nevirapine is a:
1. Protease inhibitor
2. Nucleoside reverse transcriptase inhibitor
3. Non-nucleoside reverse transcriptase inhibitor
4. Fusion inhibitor

Correct answer: 3. Non-nucleoside reverse transcriptase inhibitor